Pitting of nails can be seen in -
1. Tinea unguium
2. Alopecia areata
3. Androgenetic alopecia
4. Peripheral vascular disease

Correct answer: 2. Alopecia areata